Insulin is required for glucose transport in all of the following except:
1. RBC
2. Skeletal muscles
3. Adipose tissue
4. Heart muscles

Correct answer: 1. RBC

Explanation: Ans. A: RBCInsulin facilitates entry of glucose into muscle, adipose, and several other tissues.The only mechanism by which cells can take up glucose is by facilitated diffusion through a family of hexose transporters. In many tissues - muscle being a prime example - the major transporter used for uptake of glucose (called GLUT4) is made available in the plasma membrane through the action of insulin.